Dyskeratosis
1. Leukoplakia
2. Hyperpigmentation
3. Nail dystrophy
4. Premature keratinisation

Correct answer: 4. Premature keratinisation

Explanation: dys*ker*a*to*sis (dis'ker-a-to'sis), 1. Premature keratinization in individual epithelial cells that have not reached the keratinizing surface layer; dyskeratotic cells generally become rounded and they may break away from adjacent cells and fall off. Dyskeratosis terms that abnormal premature keratinisation within cells below the stratum granulosum. Ref: Robbins and cotrans 9e Pg 1143